The most important aspect in treating Disseminated Intravascular Coagulation (DIC) is to:
1. Administer heparin
2. Administer platelets
3. Treat the underlying disease process
4. Achieve normal levels of fibrinogen

Correct answer: 3. Treat the underlying disease process